The granules discharged in mycetoma contains
1. bone specules
2. Fungal colonies
3. Pus cells
4. Inflammatory cells

Correct answer: 2. Fungal colonies

Explanation: Granules composed of broader filaments and often shows septa and chlamydospores in mycotic mycetoma. Ref: Textbook of Microbiology, Ananthanarayan and Paniker; 9th edition